A 50-year-old female patient presented with swelling of the right jaw. The swelling was painless and covered with exudate. She also gave a history of trauma to the same area. The pus was sent for culture. On macroscopic examination, a Sulphur granule was found in the exudate. The gram stain of the exudate is given below. What is the drug of choice of the above condition: -
1. Penicillin
2. Azithromycin
3. Doxycycline
4. Streptomycin

Correct answer: 1. Penicillin

Explanation: This is a case of cervicofacial actinomycosis. The image shows a discharging sinus, a characteristic feature of actinomycosis. Gram stain shows branching gram-positive bacilli, characteristic of actinomyces. Actinomycosis occurs most frequently at an oral, cervical, or facial site. It usually occurs as a soft tissue swelling, abscess, mass, or ulcerative lesion. It is often mistaken for a neoplasm. Dental diseases or procedures are common precipitating factors. The angle of the jaw is generally involved. The Drug of choice for the above condition is penicillin.